A child has started mouthing objects, shows likes and dislikes, but has not yet developed stranger anxiety. The age of child is:
1. 3 months
2. 5 months
3. 7 months
4. 9 months

Correct answer: 2. 5 months

Explanation: Stranger anxiety, that develops at around 7 months has not yet appeared. So, the age of the child is 5 months. Child starts mouthing object: 5-6 months.